A 25-year-old female, complained of lumps felt in axilla and in the supra-clavicular region. She self-examined and then went to a Surgeon. X-ray was done. USG guided biopsy was done. HPE examination revealed the diagnosis. Flow cytometry revealed CD15 AND CD30 positive. She was started on chemotherapy. After some time, patient complained of skin lesions. Which of the following drug is responsible for above manifestation?
1. Daunorubicin
2. Bleomycin
3. Capecitabine
4. Cyclophosphamide

Correct answer: 2. Bleomycin

Explanation: This is a case of Hodgkin's lymphoma. Chest X-RAY shows mediastinal lymphadenopathy. HPE image shows the classical Reed-Sternberg cells The lesion depicts long streaks of hyper pigmentation on the back known as FLAGELLATE DERMATITIS; characteristic side effect of BLEOMYCIN DRUG SIDE-EFFECT Bleomycin FLAGELLATE DERMATITIS Pulmonary fibrosis Daunorubicin Dilated cardiomyopathy Capecitabine Hand and foot syndrome Cyclophosphamide Hemorrhagic cystitis Methotrexate Liver fibrosis.